A 70-year-old man with a prior anterior MI comes for his routine evaluation. He feels well and has no symptoms. He is taking metoprolol 100 mg bid, aspirin 81 mg od, enalapril 10 mg bid, and simvastatin 40 mg od for secondary prevention.Select the characteristic ECG finding.
1. prolonged PR interval
2. broad-notched P wave in lead II
3. short QT interval
4. short PR interval

Correct answer: 1. prolonged PR interval

Explanation: A prolonged PR interval is a common finding in asymptomatic elderly patients that have age-related degeneration of the AV node. Drugs such as beta-blockers (metoprolol) may exacerbate the condition or even cause PR prolongation in excessive doses.